Pharmacoviglance is used for ?
1. To monitor drug toxicity
2. To monitor unauthorized drug manufacture
3. Monitoring of students
4. Check costs

Correct answer: 1. To monitor drug toxicity

Explanation: Ans. is 'a' i.e., To monitor drug toxicity Pharmacovigilance Pharmacovigilance is the science and activities relating to detection, assessment, understanding and prevention of adverse effects or any other drug related problem.